Which is not true about cephalohaematoma?:
1. Not limited by sutures
2. Swelling subsides in 3 months
3. Caused by periosteal injury of skull
4. None

Correct answer: 1. Not limited by sutures

Explanation: Not limited by sutures